The status of fluid in DCT is always
1. Hypotonic
2. Hypertonic
3. Isotonic
4. None

Correct answer: 1. Hypotonic

Explanation: DLH is permeable to water, but ALH is impermeable to water, hence fluid becomes dilute as it passes through it because of movement of sodium, potassium and chloride out of tubular lumen into medullary interstitium. Thus the fluid reaching DCT is always hypotonic Ref: Ganong -23rd edition, Page 639